Vitamin A deficiency is considered a public health problem if prevalence rate of night blindness in children between 6 months to 6 years is more than -
1. 0.01%
2. 0.05%
3. 0.1%`
4. 1.00%

Correct answer: 4. 1.00%

Explanation: - night blindness or inability to see in dim light is a manifestation of vitamin A deficiency. - Vitamin A deficiency is considered a public health problem if prevalence rate of night blindness in children between 6 months to 6 years is more than 1 percent. Reference : Park's textbook of preventive and social medicine, 23rd edition, pg no:616